Which of the following enzyme activities can be used to help diagnose riboflavin deficiency?
1. RBC transketolase
2. RBC glutathione reductase
3. Branched chain ketoacid dehydrogenase
4. RBC transaminase

Correct answer: 2. RBC glutathione reductase

Explanation: VITAMIN TEST Thiamine(B1) RBC Trans-ketolase Riboflavin(B2) RBC glutathione reductase Pyridoxine(B6) RBC transaminase Folic acid(B9) FIGLU excretion/Histidine load test Cobalamine(B12) Serum methyl malonate level Reference: Harpers illustrated biochemistry 30th edition